Alveolar hypoventilation is present in A/E-
1. Bulber poliomyelitis
2. COPD
3. Kyphoscoliosis
4. Lobar pneumonia

Correct answer: 4. Lobar pneumonia

Explanation: Ans. is 'd' i.e. Lobar pneumonia * In lobar pneumonia there is a defect of diffusion of gases at the respiratory membrane.Classification of causes of respiratory failureMechanismAcuteChronicReduced VentilationTetanus, Polio, Botulism Polyneuritis, Pneumothorax, Flail Chest Radiation pneumonitis Foreign body, epiglottitis angioedema, asthma, bronchiolitisMyasthenia gravis Muscular dystrophy Kyphoscoliosis, Ankylosing spondylitisInterstitial fibrosis, sarcoidosis COPD, bronchiectasisRestrictiveNeuromuscular diseaseChest wall diseaseLung diseaseObstructiveAbnormal perfusionPulmonary embolismVasculitisImpaired diffusionShock, interstitialPneumonitis Acute left ventricular failure, toxic gases, mitral stenosisSarcoidosis,PneumoconiosisInterstitial fibrosisChronic leftventricular failure Interstitial disease Pulmonary edema